The wasting syndrome associated in cancer is
1. Achalasia
2. Cacchexia
3. Atelexis
4. Cacoguesia

Correct answer: 2. Cacchexia